Therapeutic index indicates
1. Drug toxicity
2. Drug potency
3. Drug safety
4. Drug's lethal effect

Correct answer: 3. Drug safety